All are components of Meig's syndrome, except:
1. Pleural effusion
2. Ovarian tumour
3. Ascites
4. Pericardial effusion

Correct answer: 4. Pericardial effusion